Which of the following drug will cause hemolysis in G6PD patients:
1. Cephalosporins
2. Ampicillin
3. Chloroquine
4. Erythromycin

Correct answer: 3. Chloroquine

Explanation: Ref: KDT 6th ed. pg. 64 * G6PD is an enzyme present on RBC membrane provides strength to RBC which can counteract free radicals and oxidizing stress of drugs.* In absence of G6PD enzyme, these cells cant bear the stress and results in Hemolysis.* Drugs causing Hemolysis in G6PD deficiency patients are:# Anti malarials (Primaquine, chloroquine)# Antibiotic (Nitrofurantoin)# Anti emetic (Furazolidone)# Sulfonamide (dapsone)# Fava beans* Ciprofloxacin is one of the quinolones, effective against G+ and G- including pseudomonas.* It is contraindicated in pregnancy and children below 18 years of age because it effects growing bone and tendons.* Ciprofloxacin is considered as oral DOC for enteric fever.* DOC for enteric fever: Ceftriaxone